Gissane's angle in intraarticular fracture of calcaneum -
1. Reduced
2. Increased
3. Not changed
4. Variable

Correct answer: 2. Increased

Explanation: Bohler's (tuber-joint) angle is reduced in intra-articular calcaneal fractures (normal 24-40°).
The crucial angle of "Gissane" is increased in intra-articular clacaneum fractures (normal 100°).